Slow waves/ BER are in increasing order in the following parts of GIT
1. Jejunum > Sigmoid colon > Stomach
2. Jejunum < Sigmoid colon < Stomach
3. Stomach > Sigmoid colon > Jejunum
4. Stomach < Sigmoid colon < Jejunum

Correct answer: 4. Stomach < Sigmoid colon < Jejunum

Explanation: "Waves occur 3-4 times per minute in the stomach. In the small intestine, there is an average of 12 BER cycles/min in the proximal jejunum, declining to 8/min in the distal ileum. The frequency of the wave increases along the colon, from about 2/min at the ileocecal valve to 6/min at the sigmoid."